Granisetron is used in?
1. Motion sickness
2. Sedation in endoscopy
3. Chemotherapy induced nausea & vomiting
4. Gastroesophageal reflux disease

Correct answer: 3. Chemotherapy induced nausea & vomiting

Explanation: Ans. is 'c' i.e., Chemotherapy induced nausea & vomiting 5-HT3 blockers (e.g. ondansetron, granisetron etc) are the drugs of choice for chemotherapy induced nausea and vomiting.